True about Fibrolamellar carcinoma of Liver is all, EXCEPT
1. Females do not have increased incidence than males
2. Has good prognosis
3. Not associated with liver cirrhosis
4. Serum AFP levels are usually > 1000 mg/ltr

Correct answer: 4. Serum AFP levels are usually > 1000 mg/ltr

Explanation: . Serum AFP levels are usually > 1000 mg/ltr